A 15-year-old female presents with primary amenorrhea. Her breasts are Tanner 4 but she has no axillary or pubic hair The most likely diagnosis is :
1. Turner's syndrome
2. Mullerian agenesis
3. Testicular feminization syndrome
4. Premature ovarian failure

Correct answer: 3. Testicular feminization syndrome

Explanation: Testicular feminization syndrome